Toxin acting on cGMP -
1. Heat stable E. coli toxin
2. Heat labile E. coli toxin
3. Cholera toxin
4. Shiga toxin

Correct answer: 1. Heat stable E. coli toxin